Most radio dense substance is –
1. Fluid
2. Soft tissue
3. Brain
4. Bone

Correct answer: 4. Bone